Best test for assessment of iron status is:
1. Transferrin
2. Ferritin
3. Serum iron
4. Hemoglobin

Correct answer: 2. Ferritin

Explanation: b. Ferritin(Ref: Nelson's 20/e p 2323-2325, Ghai 8/e p 334-335)Serum ferritin level indicates the amount of iron present in both liver and reticuloendothelial system and hence is the best assessment of iron status.